Most common ovarian tumor to undergo torsion:
1. Benign cystic teratoma
2. Dysgerminoma
3. Serous adenoma
4. Brenners tumor

Correct answer: 1. Benign cystic teratoma

Explanation: Ans. is 'a' i.e., Benign cystic teratoma * Benign cystic teratoma (dermoid cyst) is the MC benign germ cell tumor and also the MC ovarian tumor to undergo torsion (as it has a lot of fat content, it is more prone to torsion) in nonpregnant patients as well as in pregnancy.